Indication for use of pirenzepine is:
1. Peptic ulcer disease
2. Bronchial asthma
3. Motion sickness
4. Dysmenorrhea

Correct answer: 1. Peptic ulcer disease

Explanation: Ref. KDT. Page. 649
Below is a list of group of drugs used for Peptic Ulcer
1.Reduction of gastric acid secretion

H2 antihistamines: Cimetidine, Ranitidine,  Famotidine, Roxatidine
Proton pump inhibitors: Omeprazole,  Lansoprazole, Pantoprazole, Rabeprazole,
Esomeprazole
Anticholinergics:Pirenzepine,Propantheline, Oxyphenonium
Prostaglandin analogue: Misoprostol

2. Neutralization of gastric acid (Antacids) 

Systemic: Sodium bicarbonate, Sod. Citrate
Nonsystemic: Magnesium hydroxide, Mag. trisilicate, Aluminium hydroxide gel, Magaldrate, Calcium carbonate

3. Ulcer protectives: Sucralfate, Colloidal bismuth subcitrate (CBS)
4. Anti-H. pylori drugs: Amoxicillin, Clarithromy- cin, Metronidazole, Tinidazole, Tetracycline